Malignant otitis externa is characterized by-a) Caused by pseudomonas aeruginosab) Malignancy of external auditory canalc) Granulation tissue is seen in the floor of external auditory canald) Radiotherapy can be givene) Gallium scan helpful for monitoring treatment
1. acd
2. bde
3. ace
4. ade

Correct answer: 3. ace